Which of the following cell surface markers are associated with T helper cells?
1. CD2- CD3- CD4- CD8- TCR- cell
2. CD2+ CD3+ CD4- CD8- TCR+ cell
3. CD2+ CD3+ CD4+ CD8- TCR+ cell
4. CD2+ CD3+ CD4- CD8+ TCR+ cell

Correct answer: 3. CD2+ CD3+ CD4+ CD8- TCR+ cell

Explanation: T cells are mainly divided into: 1. T helper cells 2. Cytotoxic T cells T helper cells are also called CD4+ T cells Cytotoxic T cells are also called CD8+ T cells T helper cells have all of the listed markers except for CD8 while cytotoxic T cells have all of the listed markers except for CD4 CD2, CD3 and TCR will be present on all mature T cells